All of the following are differential diagnosis for constricted pupils except
1. Horner's syndrome
2. Pontine myelinosis
3. Opioid withdrawl
4. Organophosphaste poisoning

Correct answer: 3. Opioid withdrawl

Explanation: Opioid poisoning: Pin point pupils.
Opioid withdrawl: dilated pupils.